Risk of amniotic fluid embolism is greatest in :
1. First trimester of pregnancy
2. Second trimester of pregnancy
3. During labour
4. In puerperal period

Correct answer: 3. During labour

Explanation: During labour